Which of the following is the drug of choice for Non-Gonococcal Urethritis?
1. Ceftriaxone
2. Ciprofloxacin
3. Doxycycline
4. Minocycline

Correct answer: 3. Doxycycline

Explanation: Non gonococcal urethritis is most commonly caused by Chlamydia trachomatis and ureaplasma urealyticum. Tetracycline is the drug of choice. Doxycycliine can be used as an alternative. Erythromycin can be used in case of tetracycline resistance. Less common causes include staphylococcus aureus, gam negative rods, candida albicans, trichomonas vaginalis etc. Ref: Sexually Transmitted Diseases By Sehgal, 4th Edition, Page 25-7